A person is having normal lung compliance and increased airway resistance. The most economical way of breathing for him:
1. Rapid & deep
2. Rapid & shallow
3. Slow & deep
4. Slow & sallow

Correct answer: 3. Slow & deep

Explanation: C i.e. Slow and deep